Dead-born fetus does not show:
1. Rigor mortis at birth
2. Adipocere formation
3. Maceration
4. Mummification

Correct answer: 2. Adipocere formation

Explanation: Ans. Adipocere formation